National iron plus initiative includes
1. Biweekly supplementation of iron & FA to 6-60 months of age
2. Biweekly supplementation of iron & FA to pregnent & lactating woman
3. Biweekly supplementation of iron & FA to adolescent girls
4. All of the above are parts of initivative

Correct answer: 1. Biweekly supplementation of iron & FA to 6-60 months of age

Explanation: Ans. is 'a' i.e., Biweekly supplementation of iron & FA to 6-60 months of age - Under national Iron + Iniative, the following age groups are covered for lifelong supplementation of iron from the age of 6 month onwards:Bi-weekly 20 mg elemental iron and 100 microgram (mcg) folic acid per ml of liquid formulation and age appropriate de-worming for preschool children of 6-59 months.Weekly supplementation of 45 mg elemental iron and 400 mcg folic acid per child per day for children from 1st to 5th grade in govt. & Govt. Aided schools, and at AWC for out of school children (6 to 10 years).Weekly dose of 100 mg elemental iron and 500 mcg folic acid with biannual de-worming in adolescents (10-19 years) under WIFSWeekly supplementation for woman in reproductive age, Pregnant and lactating women.